Awareness during anaesthesia can be assessed by
1. a) ETCO2
2. b) BIS
3. c) ARTERIAL B.P
4. d) NEUROMASCULAR MONITOR

Correct answer: 2. b) BIS